The Common "Primary" Tumor of Heart is:
1. Rhabdomyoma
2. Fibroma
3. Myxoma
4. Lipoma

Correct answer: 3. Myxoma

Explanation: Myxoma